Stenosing tenosynovitis of the flexor tendon sheath is also known as:
1. Trigger finger
2. Tennis elbow
3. Carpal tunnel syndrome
4. Dupuytren'scontracture

Correct answer: 1. Trigger finger

Explanation: Stenosing tenosynovitis of the flexor tendon sheath, also known as trigger finger, is one of the most common upper limb problems to be encountered in hand surgery practice. Ref: Schwartz's principle of surgery 9th edition, chapter 44.